Death needs to be registered within:
1. 4 days
2. 7 days
3. 10 days
4. None

Correct answer: 4. None

Explanation: Ans. None (Its 21 days) Park's PSM, 21st ed., p-779 states: The time limit for registering the event of births is 14 days and that of death is 7 days.